An oral diaphragm is formed by -
1. Mylohyoid
2. Genioglossus
3. Hyoglossus
4. Buccinator

Correct answer: 1. Mylohyoid